Cyst stage is absent in
1. Dientamoeba fragilis
2. Entamoeba coli
3. Entamoeba histolytica
4. All of the above

Correct answer: 1. Dientamoeba fragilis

Explanation: Dientamoeba fragilis is a parasite that lives in the large intestine of people. 
This protozoan parasite produces trophozoites; cysts have not been identified. 
The intestinal infection may be either asymptomatic or symptomatic. 
Many infected people do not have any symptoms. 
The most common symptoms are diarrhea and abdominal pain. 
Symptoms also can include loss of appetite, weight loss, nausea, and fatigue. 
The infection does not spread from the intestine to other parts of the body.
Entamoeba coli and Entamoeba histolytica both have cyst stage.​

Ref :https://www.cdc.gov/parasites/dientamoeba/index.html